A 26-year-old gravida 3 woman has a history of gestational diabetes and a delivery of two previous infants at term that were greater than 4000 grams, each of whom had severe hypoglycemia. Which of the following maneuvers is least likely to reduce the chance of the next child's having hypoglycemia?
1. Careful control of the maternal blood glucose levels during pregnancy
2. Maternal intravenous loading with 10% glucose beginning 2 to 4 h prior to the expected time of delivery
3. Careful glucose monitoring of the infant
4. Early feedings of the infant

Correct answer: 2. Maternal intravenous loading with 10% glucose beginning 2 to 4 h prior to the expected time of delivery

Explanation: Glucose loading of the mother will result in fetal hyperglycemia, which causes insulin release and reactive hypoglycemia. Careful medical support of the antepartum woman diminishes the hypertrophy of the fetal islet cells. Careful monitoring of the infant with early feeding or intravenous infusion of glucose can prevent hypoglycemia. A neutral thermal environment diminishes glucose consumption and, therefore, helps with glucose homeostasis.